Most common indication of liver transplantation in children:
1. Biliary atresia
2. Wilson's disease
3. Hemochromatosis
4. Primary biliary cirrhosis

Correct answer: 1. Biliary atresia

Explanation: MC indication of liver transplant in adults: Hep C Cirrhosis